Most diffusible ion across the membrane is
1. Cl-
2. K+
3. Na+
4. Urea

Correct answer: 2. K+

Explanation: The resting membrane potential is close to the Nernst potential for K+, the ion to which the membrane is most permeable. .